Duration of latent phase of labour is affected by :a) Early use of conduction anaesthesia and sedation b) Unripe cervixc) Hypertonic uterine contractiond) Pre-eclampsia
1. ac
2. a
3. ad
4. ab

Correct answer: 4. ab